What is present in the retropharyngeal space ?
1. Platysma
2. Loose areolar tissue & lymph nodes
3. Vertebrae
4. Hypoglossal nerve

Correct answer: 2. Loose areolar tissue & lymph nodes

Explanation: Prevertebral Fascia anteriorly is separated from the pharynx and buccopharyngeal fascia by the retropharyngeal space containing loose areolar tissue. Neck infections in front of the prevertebral fascia in the retropharyngeal space usually arise from suppuration, i.e. formation of pus in the retropharyngeal lymph nodes. Ref: BD Chaurasia's HUMAN ANATOMY, Volume 3, 4th edition.